Bleeding adjacent to the "Triangle of calor" should be controlled by
1. Pressing the artery manually
2. Blind clipping
3. Kocher's artery forceps
4. Stitching

Correct answer: 1. Pressing the artery manually

Explanation: Golden rules to be followed in case of Difficult Cholecystectomy When the anatomy of callot's triangle is not clear, blind dissection should not be done Bleeding adjacent to the callot's triangle should be controlled by pressure and not by clipping or clamping When there is doubt about the anatomy, a fundus first cholecystectomy dissecting on gallbladder wall down to the cystic duct can be helpful If the cystic duct is densely adherent to CBD and there is possibility of Mirizzi's Syndrome, the infundibulum of the GB should be opened, the stone removed and infundibulum oversewn Ref: Blumgart 5th edition Pgno :525